In case of vertically unfavorable fracture, muscle responsible for displacement of fracture segment:
1. Temporalis.
2. Medial Pterygoid.
3. Masseter.
4. All of the above.

Correct answer: 2. Medial Pterygoid.

Explanation: These all muscles work in case of horizontal unfavourable fracture.